Which Glycogen Storage Disease doesn't affect muscles ?
1. Type 1
2. Type 2
3. Type 3
4. Type 4

Correct answer: 1. Type 1

Explanation: Glycogen storage disease type 1 is an inherited disorder caused by the buildup of a complex sugar called glycogen in the body's cells . The accumulation of glycogen in certain organs and tissues , especially the liver, kidneys, and small intestines, impairs their ability to function normally. Reference: GHAI Essential pediatrics, 8th edition